Following is true about medullobastoma:
1. It is seen mainly in over 50 age group
2. It is radiosensitive tumour
3. Only treatment is surgery
4. Seen in anterior cranial fossa

Correct answer: 2. It is radiosensitive tumour

Explanation: Ans. (b) It is radiosensitive tumour(Ref: R 9th/pg 1312)Medulloblastoma is exquisitely radiosensitive Q; Predominantly seen in children & exclusively in cerebellum Q